Temporary method of contraception among the following is
1. Vasectomy
2. OCP
3. Tubectomy
4. Postpartum sterilisation

Correct answer: 2. OCP

Explanation: Temporary contraceptive methods are

Hormonal contraception
Intrauterine devices
Barrier contraception
Natural family planning methods